Chemical nature of complement is
1. Lipid
2. Polysaccharide
3. Lipo polysaccharide
4. Protein

Correct answer: 4. Protein

Explanation: Complement is a protein in normal human and animal serum activated by antigen-antibody reactions Ref: Textbook of Microbiology Baveja 5th ed Pg 125